DNA fingerprinting was founded by -
1. Watson
2. Galton
3. Jeffrey
4. All of the above

Correct answer: 3. Jeffrey

Explanation: Alec J. Jeffrey in 1984 discovered fundamental of genetic fingerprinting. But it was Sir Sethikins who invented DNA fingerprinting in 1985.